In a completely charred body at autopsy, medical officer can say that the burns are antemortem if he can find :
1. Soot in respiratory passage
2. Cyanosis of finger nails
3. Congestion of kidney
4. Pale internal organs

Correct answer: 1. Soot in respiratory passage

Explanation: A i.e. Soot in respiratory passage